Moure's sign can be detected in
1. Nasopharyngeal carcinoma
2. Oropharyngeal carcinoma
3. Postcricoid carcinoma
4. Supraglottic carcinoma

Correct answer: 3. Postcricoid carcinoma

Explanation: Moure's sign: in normal persons, there is a click felt when the larynx is moved from side to side over the vertebral column. The sign is absent in patients with post-cricoid carcinoma (Moure's sign positive). Ref: Internet sources